Length of inguinal canal
1. 2.5 cm
2. 4 cm
3. 10 cm
4. 15 cm

Correct answer: 2. 4 cm

Explanation: INGUINAL CANAL:- Oblique intermuscular passage in the lower part of the anterior abdominal wall.Extends from deep inguinal ring to superficial.Deep ring- oval opening in fascia transversalis.1.25 cm above mid-inguinal point.Superficial ring: triangular gap in external oblique aponeurosis. Length: 4cm Directed downwards forwards and medially. BOUNDARIES:-1. Anterior wall A. To the whole extend: skinsuperficial fascia and external oblique aponeurosis.B. Lateral one third: internal oblique muscle 2. Posterior wall A. Whole extend fascia transversalis, extraperitoneal tissue, the parietal peritoneum.B. Medial two third: conjoint tendon, reflected part of inguinal ligament. 3. Roof:arched fibres of internal oblique and transversus abdominis.4. Floor: grooved upper surface of inguinal ligament. Structures passing through:-1. Spermatic cord(males) Round ligament of uterus (f)2. Ilioinguinal nerve. {Reference: BDC 6E pg213}